All of the following are autosomal dominant disorder except?
1. Von hippel lindau disease
2. Achondroplasia
3. Duchenner muscular dystrophy
4. Multiple endocrine neoplasia

Correct answer: 3. Duchenner muscular dystrophy

Explanation: Duchenne muscular dystrophy is x linked recesive disorder.